Which of the following adverse effects is most likely to occur with sulfonamides?
1. Neurologic effects including headache, dizziness, and lethaargy
2. Hematuria
3. Fanconi's anemia
4. Skin reactions

Correct answer: 4. Skin reactions

Explanation: (Ref: KDT 6/e p684) Rash is the most common adverse effect seen with the use of sulfonamides.